All of the following are premalignant Except
1. Acnitic solar keratosis
2. Bowens disease
3. Giant hairy nevus
4. Rhinophyma

Correct answer: 4. Rhinophyma

Explanation: Actinic keratosis is a premalignant keratosis of the lip caused by exposure to solar radiation Most common lower lip. Risk factors include UV light, tobacco, and voriconazole treatmentTreatment -topical agents: 5FU,topical tretinoin ,TCA ,diclofenac gel Vermilionectomy Laser ablation Photodynamic therapy Bowen's disease -SCC in situ occurs in fair-skinned people .Arises from outer toot shear of the hair follicle or epidermal cells of acrotrichium Causes -UV radiation, arsenic exposure, HPV Site-sun exposed or covered .When occurs on gland penis it is called erythroplasia of queyrat. Histopathology shows wind-blown appearance -keratinocytes are atypical with loss of polarity Treatment -5FU 5% Imiquimod 5% Rhinophyma is a benign condition of the nose may occur de novo or after PPR. Also seen to follow actinic damage and in patients with acne vulgaris (Ref: Harrison 20th edition pg 1290